Tail of pancreas-related with
1. Splenicorenal ligament
2. Gastrosplenic ligament
3. Phrenico colic ligament
4. Falciform ligament

Correct answer: 1. Splenicorenal ligament

Explanation: Tail of pancreas is the left end of the pancreas . It lies in the lienorenal ligament together with the splenic vessels. It comes into contact with the lower part of the gastric surface of the spleen. ref - BDC 6e vol2 pg301